A 50-year-old man is brought to the emergency department following a high-speed motor vehicle accident. He has large bruises over his anterior chest and epigastrium. He localizes to pain, but does not respond to voice. He is unable to speak. He does not have any known family or contacts. He is afebrile, pulse Es 120/mm. blood pressure is 70/40 mmHg. respirations are 12/mm. and oxygen saturation is 97% on room air. Abdominal ultrasound shows free fluid. He is sent to the operating room for a laparotomy. His record states that he is a Jehovah’s Witness and that he refuses blood transfusions. 
If the patient requires blood during the operation, which of the following is the surgeon’s best course of action?
1. Call a hospital ethics consult
2. Consult the patient’s neighbor
3. Do not give blood during the procedure
4. Give the patient cross-matched blood

Correct answer: 3. Do not give blood during the procedure